Cobicistat is used along which of the following antiretroviral drug?
1. Indinavir
2. Darunavir
3. Ritonavir
4. Saquvinavir

Correct answer: 2. Darunavir

Explanation: Cobicistat, with trade name Tybost (formerly GS-9350) is a licensed drug for use in the treatment of human immunodeficiency virus infection (HIV/AIDS). Its major mechanism of action is through the inhibition of human CYP3A proteins. Like ritonavir (Norvir), cobicistat is of interest for its ability to inhibit liver enzymes that metabolize other medications used to treat HIV, notably elvitegravir, an HIV integrase inhibitor and darunavir. By combining cobicistat with elvitegravir, higher concentrations of the latter are achieved in the body with lower dosing, theoretically enhancing elvitegravir's viral suppression while diminishing its adverse side-effects. Indinavir and Ritonavir both are use protease inhibitor use for HIV patient.